Nystens rule is regarding:
1. Sequence of appearance of livor mortis
2. Postmortem changes in the retina
3. Sequence of appearance of rigor mortis
4. Postmortem changes in vitreous

Correct answer: 3. Sequence of appearance of rigor mortis

Explanation: Nystens rule states that there is a particular order in which rigor mortis appears and it diappears in the same order.